All are true about dermatitis herpetformis except
1. More common in young adult
2. Intense pruritus
3. Deposist of IgG at the epidermodermal lesion
4. None

Correct answer: 3. Deposist of IgG at the epidermodermal lesion

Explanation: C. i.e. Deposition of IgG at the epidermodermal lesion